Flapping Tremors may be associated with all of the following, Except
1. Hepatic encephalopathy
2. Uremia
3. CO2 Narcosis
4. Thyrotoxicosis

Correct answer: 4. Thyrotoxicosis

Explanation: Answer is D (Thyrotoxicosis) `Thyrotoxicosis (Hyperthyroidism) is associated with rapid fine tremors and not flapping tremors (irregular coarse tremor) also called Asterixis. Asterexis (Flapping tremor) is most commonly seen in metabolic encephalopathies due to hepatic, renal (uremia) and respiratory failure (CO2 Nercosis). Causes of Asterixis /Flapping Tremor (Coarse irregular tremor) Typical Metabolic Encephalopathies Hepatic Encephalopathy Typically Metabolic Encephalopathies due to Uremic Encephalopathy hepatic, renal and respiratory failure are the Respiratory failure with CO2 Retention (CO2 Narcosis) most common causes. Other Metabolic Encephalopathies Hyperglycemia / Hypoglycemia Electrolyte Disturbances (Hypokalemia, Hypomagnesemia etc) Medication side Effects / Intrications Bromide intoxication Gabapentin / Pregabalin Phenytoin intoxication Valproate /Carbamazapine / Clozapine Chloral Hydrate intoxication Lithium / Levodopa Glutathemide intoxication Metrizamide / Ifbsfamide Intravenous ammonium chloride Gastrointestinal Disease Whipple's Disease Malbsorption syndrome / Idiopathic Steatorrhea Toxic Megacolon of Ulcerative Colitis Structural lesions Vascular Infarction / Haemorrhage (brainstem / intraventruculer) Subdural Empyema / hematoma Encephalitis Post-anoxic action myoclonus Brain tumors Post -surgical scars Miscellaneous Congestive Cardiac Failure Chronic Dialysis Septisemia